What is safe maximum time for storage of heart?
1. 2 hours
2. 4 hours
3. 6 hours
4. 8 hours

Correct answer: 3. 6 hours

Explanation: Heart should be ideally transplanted within 3 hours. Max peroid is 6 hours.